Attached gingival is
1. Always stippled
2. Non keratinized
3. Resistant to masticatory forces
4. Resistant to inflammatory changes

Correct answer: 3. Resistant to masticatory forces